All are true about diagnostic barium follow through features of ileo cecal tuberculosis EXCEPT:
1. Apple core appearance
2. Pulled up or contracted cecum
3. Widening of ileocecal angle
4. Stricture involving terminal ileum

Correct answer: 1. Apple core appearance

Explanation: Apple core appearance REF: Grainger and allison's diagnostic radiology 5th e p.1484 "Apple core sign is seen in carcinoma colon" "Iliocaecum is the most common site of gastrointestinal tuberculosis" Signs of ileocecal tuberculosis are: Stricture of terminal ileum Widening of ileocecal angle Pulled up ceacum Mucosal fold thickening Discrete transverse or star shaped ulcers Steirlin sign (repeated emptying of the cecum, seen radiographically, with barium remaining in the terminal part of the ileum and in the transverse colon)